Arterial supply to the head and neck of femur is
1. Lateral circumflex femoral artery
2. Medial circumflex femoral artery
3. Profunda femoris artery
4. External femoral artery

Correct answer: 2. Medial circumflex femoral artery

Explanation: The medial circumflex femoral artery (internal circumflex artery, medial femoral circumflex artery) is an artery in the upper thigh that helps supply blood to the neck of the femur. Damage to the artery following a femoral neck fracture may lead to avascular necrosis (ischemic) of the femoral neck/head . Ref - BDC 6th edi vol 2 ; pg 13-15